All of the following are good progostic factors for childhood. All except
1. Hyperdiploidy
2. Female sex
3. Mature B cell ALL
4. t (12:21) translocation

Correct answer: 3. Mature B cell ALL

Explanation: The presence of hyperdiploidy(chromosome number>50,DNA index>1.16) is associated with good prognosis in contrast to the poor prognosis in patients with hypoploidy.Certain chromosomal abnormalities are associated with a favourable prognosis like t(12;21) and simultaneous presence of trisomy 4 and 10;while,t(8;14) associated with Burkitt leukemia ,t(4;11) in infant leukemia and t(9;22)translocation that forms the Philadelphia chromosome,are associated with a poor prognosis.Males are at a higher risk as compared to females.Pre-B phenotype is at a standard risk as compared to mature B cell phenotype which is at a higher risk. Reference:Essential pediatrics-Ghai,8th edition,page no:600,601.